What is the mechanism by which catecholamines stabilize blood glucose concentration in response to hypoglycemia?
1. Catecholamines stimulate glycogen phosphorylase to release glucose from muscle
2. Catecholamines inhibit glycogenolysis in the liver
3. Catecholamines stimulate the release of insulin from the pancreas
4. Catecholamines stimulate gluconeogenesis in the liver

Correct answer: 4. Catecholamines stimulate gluconeogenesis in the liver

Explanation: Catecholamines stimulate glycogenolysis and gluconeogenesis in the liver, causing glucose to be synthesized and released into the blood.Catecholamines stimulate glycogen phosphorylase in muscle to free glucose for use by the muscle. Muscle cannot release glucose into the circulation because it lacks glucose-6-phosphatase. However, the muscle can release lactate, which can be used in gluconeogenesis by the liver.